Cherry red spot NOT seen in?
1. Trauma
2. Tay Sachs
3. CRAO
4. CRVO

Correct answer: 4. CRVO

Explanation: Ans. (d) CRVORef: A.K. Khurana 6th ed. 1269, 421Cherry Red Spot of Retina is seen in--*CRAO*Trauma (Blunt trauma, Berlins edema)*Neimann pick disease*Gauchers disease*Tay - Sachs disease*Sand hoff's diseaseMnemonic: Cherry Tree Never Grow Tall in Sand.